A female multipurpose worker should be able to detect all of the following except –
1. Anemia
2. Renal disease
3. Hydramnios
4. Malpresentation

Correct answer: 2. Renal disease

Explanation: FHW estimates hemoglobin to detect anemia
Refers cases of abnormal pregnancy (Hydroamnion, Malpresentation) and cases with medical and gynecological problems to PHC.